The other name for dengue fever is-
1. Break-bone fever
2. Chikungunya
3. Yellow fever
4. Kyasanurforest fever

Correct answer: 1. Break-bone fever

Explanation: Dengue fever is characteised by fever,backache ,arthralgias ,headache ,generalised pains(break-bone fever) ,pain on eye movement ,nausea,vomiting ,lacrimation,pharyngitis ,prostration,lymphadenopathy. Reference Harrison20th edition pg 987